NOT a feature of ligature strangulation:
1. Horizontal ligature mark
2. Incomplete ligature mark
3. Marked congested face
4. Sub-conjunctival hemorrhage

Correct answer: 2. Incomplete ligature mark

Explanation: Ans. Incomplete ligature mark